An elderly diabetic has left sided orbital cellulites, CT scan of paranasal sinuses shows evidence of left maxillae sinusitis. Gram stained smear of the orbital exudates shows irregularly branching septate hyphae. The following is the most likely aetiological agent -
1. Aspergillus
2. Rhizopus
3. Mucor
4. Candida

Correct answer: 1. Aspergillus

Explanation: Ans. is `a' i.e., Aspergillus Septate hyphae and involvement of sinuses suggets the diagnosis of Aspergillus infection. Aspergillus can cause sinusitis and the hyphae of Aspergillus are septate and branched.